Which is not related to immunity -
1. MPGN
2. PSGN
3. Diabetic nephropathy
4. IgA nephropathy

Correct answer: 3. Diabetic nephropathy

Explanation: Ans. is 'c' i.e., Diabetic nephropathy o The manifestation of chronic diabetes on kidneys is a result of the increased levels of blood glucose levels and are not immune mediated.